Type I diabetes mellitus is associated with
1. insulin resistance
2. defect in mitochondrial DNA
3. islet cell autoantibodies
4. beta cell dysfunction

Correct answer: 3. islet cell autoantibodies